Cap stage contains the following transitory structure:
1. Enamel matrix.
2. Stratum intermedium.
3. Cervical loop.
4. Enamel knot,Enamel cord,Enamel niche.

Correct answer: 4. Enamel knot,Enamel cord,Enamel niche.